Indications of MTP are all, except:
1. Pregnancy due to rape
2. Contraceptive failure
3. Pregnancy endangering mother's life
4. Maternal age 35 years

Correct answer: 4. Maternal age 35 years

Explanation: Ans. Maternal age 35 years